Which antiepileptic drug is least secreted in breast milk -
1. Ethosuximide
2. Clonazepam
3. Gabapentin
4. Carbamazepine

Correct answer: 2. Clonazepam

Explanation: Ans. is 'b' i.e., Clonazepam DrugBreast milk to plasma concentrationCarbamazepine0-69Clonazepam033Ethosuximide0-94Gabapentin0-7-1-3Lamotrigine0-057-1-47Phenobarbitone0-4-0-6Phenytoin018-0-45Primidone0-72Topiramate0-86-1-1Valproate0-42Zonisamide0-93